. Which of the following is ocular false localising sign of raised intracranial pressure
1. Diplopia due to pressure palsy of 6th nerve
2. Sluggish pupillary reactions and unilateral mydriasis
3. Homonymous hemianopia
4. All of the above

Correct answer: 4. All of the above

Explanation: Ans. All of the above